Red velvety stomach is seen in?
1. Lead
2. Arsenic
3. Copper
4. Mercury

Correct answer: 2. Arsenic

Explanation: The classic postmortem feature of Acute Arsenic poisoning is Red velvety stomach. The mucous membrane is covered with tenacious mucus often tinged with blood, and is swollen and red in appearance. The distribution is usually patchy and corresponds to the deposits of particles of arsenic, around which the inflammatory changes are evident. Ulceration or erosions may be found, especially at the pyloric end. Submucous petechial haemorrhages are often seen. Another important postmortem feature of Arsenic poisoning is that Rigor mortis lasts longer than usual.